Periarticular calcification is seen in -
1. RA
2. Pseudogout
3. OA
4. None of the above

Correct answer: 2. Pseudogout

Explanation: Ans. is 'b' i.e., Pseudogout Periarticular soft tissue calcification Haematoma Crystal arthropathy (Gout, Pseudogout) Dermatomyositis Tumoral calcinosis Myositis ossificans Scleroderma Synovial osteochondromatosis Synovial sarcoma